Which of the following regarding choriocarcinoma is true :
1. Worst prognosis
2. Treatment of choice is hysterectomy
3. Lung metastasis cause hemoptysis
4. Radiotherapy is preferred

Correct answer: 3. Lung metastasis cause hemoptysis

Explanation: Lung metastasis cause hemoptysis